Vitamin D analogue calcitriol is useful in the treatment of -
1. Lichen planus
2. Psoriasis
3. Phemphigus
4. Leprosy

Correct answer: 2. Psoriasis

Explanation: vit D3 analoguesSuch as calcipotriene,calcipotriol, tacalcitol,maxacalcitol. mechanism of action: Anti inflammatory effect,Induce keratinocyte differentiation, Inhibit epidermal proliferation . Used in psoriasis. advantages: no steroid induced side effects can be used for prolonged periods. IADVL textbook of dermatology page1044